Parasite which remains alive without development or multiplication is
1. Defenitive host
2. Intermediate host
3. Paratenic host
4. None of the above

Correct answer: 3. Paratenic host

Explanation: Paratenic host or transport host remains alive without development or multiplication.